All of the following muscles are attached to oblique line of thyroid cartilage except
1. Superior constrictor
2. . Inferior constrictor
3. Thyrohyoid
4. Stern thyroid

Correct answer: 1. Superior constrictor

Explanation: Superior constrictor MUSCLE Superior constrictor (Constrictor of pharynx) ORIGIN i. Pterygoid hamulus ii. Pterygomandibular raphe iii. Medial surface of mandible (near lower attachment of pterygomandibular raphe INSERTION Median raphe on posterior wall of pharynx Inferior constrictor (Constrictor of Two parts: pharynx) i. Thyropharyngeus - from thyroid cartilage (oblique line of thyroid cartilage) ii. Cricopharyngeus - from cricoid cartilage Median raphe on posterior wall of pharynx Sternothyroid (Infrahyoid muscle) i. Posterior surface of manubrium sterni ii. Adjoining part of first costal cartilage Oblique line of thyroid cartilage Thyrohyoid (Infrahyoid muscle) Oblique line of thyroid cartilage Lower border of body and greater cornua of hyoid bone